Activation energy is free energy difference between the ____:
1. Substrate & product
2. Substrate & transition state
3. Transition & product
4. Sum of all the above

Correct answer: 2. Substrate & transition state

Explanation: Activation energy is free energy difference between the substrate & transition state.
Activation energy may be also be defined as the minimum energy required to start a chemical reaction.
Reference-Harper 30th edition pg -75